Swollen neurons that contain numerous lysosomes filled with lipid are typical of
1. Amyloidosis
2. Huntington Disease
3. Kuru
4. Tay-Sachs Disease

Correct answer: 4. Tay-Sachs Disease

Explanation: Swollen neurons that exhibit marked vacuolization of the perikaryon and contain lysosomes filled with lipid are found in TaySachs disease but could occur in other lipid-storage diseases as well. The correct diagnosis can be established by biochemical analysis of the stored material or identification of intermediary metabolites and missing enzymes. The other diseases listed do not produce such neuronal changes. Ref - Harrison's internal medicine 20e pg 3007